Which of the following is a feature of Haloperidol toxicity?
1. Weight loss
2. Sweating
3. Akathisia
4. Diarrhoea

Correct answer: 3. Akathisia

Explanation: Symptoms of haloperidol toxicity are usually due to exaggerated side effects. Most often encountered are: Severe extrapyramidal side effects with muscle rigidity and tremors, akathisia, etc. Hypotension or hypertension Sedation Anticholinergic side effects (dry mouth, constipation, paralytic ileus, difficulties in urinating, decreased perspiration) Coma in severe cases, accompanied by respiratory depression and massive hypotension, shock Rarely, serious ventricular arrhythmia (torsades de pointes), with or without prolonged QT-time Epileptic seizures